All of the following drugs can be given in spinal, except
1. Morphine
2. Ketamine
3. Bupivacaine
4. Etomidate

Correct answer: 4. Etomidate

Explanation: Drug which can be given through spinal are local anaesthetics, opioids and preservative free ketamine. Injected substances Bupivacaine (Marcaine) is the local anaesthetic most commonly used, although lidocaine (lignocaine), tetracaine, procaine, ropivacaine, levobupivicaine, prilocaine, or cinchocaine may also be used. Ref Robbins 9/e pg768